After postmortem body is handed over to -
1. The authority who has conducted inquest in that particular case
2. Police station near by
3. Coroner
4. Chief magistrate

Correct answer: 1. The authority who has conducted inquest in that particular case

Explanation: After autopsy, dead body is handed over to investigating police officer or the authority that has conducted inquest in that particular case.